What percentage of cardiac output is supplied to kidneys?
1. 10%
2. 20%
3. 30%
4. None of the above

Correct answer: 2. 20%

Explanation: The paired renal arteries take 20% of cardiac output to supply organs that represent less than one-hundredth of total body weight. Ref: Gray's anatomy 40th edition, Chapter 91.